Four A's of schizophrenia was described by:
1. Kurt Schneider
2. Eugene Bleuler
3. Karl Jaspers
4. Emil Krapellin

Correct answer: 2. Eugene Bleuler

Explanation: Ans. Eugene Bleuler